All are components of Behaviour sciences except-
1. Political Science
2. Anthropology
3. Sociology
4. Psychology

Correct answer: 1. Political Science

Explanation: Ans. is 'a' i.e., Political Science